Still birth rate includes babies dead after -
1. 20 weeks
2. 24 weeks
3. 28 weeks
4. 32 weeks

Correct answer: 3. 28 weeks

Explanation: Park's textbook of preventive and social medicine 23rd edition. * Still birth is death of a foetus weighing 1000g or more and this is equivalent to 28 weeks of gestation or more.